Oxalate stones are found in :
1. Ethylene glycol
2. Ethanol
3. Diethyl glycol
4. Methyl alcohol

Correct answer: 1. Ethylene glycol

Explanation: Ans. is 'a' i.e. Ethylene glycol Ethylene glycol is a solvent found in products ranging from antifreeze fluid and de-icing solutions to carpet and fabric cleaners. Toxicity results from the depressant effects of ethylene glycol on the central nervous system(CNS). Metabolic acidosis and renal failure are caused by the conversion of ethylene glycol to noxious metabolites. One of the metabolite of ethylene glycol is oxalic acid, which however does not contribute to the metabolic acidosis, but is deposited as calcium oxalate crystals in many tissues. Renal oxalate stones are also seen in pts with inflammatory bowel disease and short bowel syndrome.